Salience is seen in:-
1. Catatonia
2. Depression
3. Substance use disorder
4. ADHD

Correct answer: 3. Substance use disorder

Explanation: Diagnosis of substance use disorder requires presence of 3 of the following 6 criteria for a period of one month: * Loss of control Craving Tolerance Withdrawal Salience Knowledge of harmful use